Superior cervical ganglia gives gray rami communicats to
1. C1 - C4
2. C5 - C6
3. C7 - C8
4. None

Correct answer: 1. C1 - C4

Explanation: The superior cervical sympathetic ganglion is the largest cervical sympathetic ganglion.it is spindle-shaped and about 2.5 cm long. It lies just below the skull in front of the transverse processes of c2 and c3 vertebra behind the carotid sheath in front of prevertebral fascia.It is formed by the fusion of 4 primitive ganglia.Branches of the superior ganglion are grey rami communicantes to upper 4 cervical nerves, superior cardiac nerve, carotid branches from sympathetic plexus around internal and external carotid arteries, and a pharyngeal branch.Grey rami communicantes to ventral rami of C5 and C6 is from middle ganglion and c7 and C8 from inferior ganglion.Reference: Textbook of anatomy, Head neck, and brain, Vishram Singh, 2nd edition, page no.174, 175